Genital herpes is caused by ?
1. HSV-1
2. HSV-2
3. VZV
4. None

Correct answer: 2. HSV-2

Explanation: Ans. is 'b' i.e., HSV-2